Juxtamedullary nephrons in kidney are what percentage of total nephrons
1. 15
2. 50
3. 70
4. 90

Correct answer: 1. 15

Explanation: A i.e. 15%